Primary impact injury is most common in -
1. Head
2. Chest
3. Abdomen
4. Leg

Correct answer: 4. Leg

Explanation: the synopsis of forensic medicine & toxicology; Dr k.s narayan reddy; 28th edition; pg.no. 148 In primary impact injury the part of body involved depends upon the position of person in relation to vehicle struck & it is mostly seen on leg .